Which is the most common cause of calcium oxalate stones?
1. Hyperparathyroidism
2. Idiopathic Hypercalciuria
3. Dietary intake of milk-based products
4. Renal tubular acidosis type 1

Correct answer: 2. Idiopathic Hypercalciuria

Explanation: Most common cause of calcium oxalate stones- Idiopathic Hypercalciuria Other causes are- Hyperuricosuria Primary hyperparathyroidism Distal renal tubular acidosis Dietary hyperoxaluria